Source of maltose is
1. Beet sugar
2. Milk
3. Germinating Cereals
4. Yeast

Correct answer: 3. Germinating Cereals

Explanation: SugarSourceSucroseCane and beet sugar, sorghum and some fruits and vegetablesLactoseMilkMaltoseEnzymic hydrolysis of starch (amylase);germinating cereals and maltIsomaltoseEnzymic hydrolysis of starch (the branch points in amylopectin)LactuloseHeated milk (small amounts), mainlysyntheticTrehaloseYeasts and fungi; the main sugar of insect hemolymphRef: Harper's Biochemistry; 30th edition; Chapter 15 Carbohydrates of Physiological Significance